All are third generation Cephalosporins except :
1. Ceftriaxone
2. Ceftazidime
3. Cefuroxime
4. Cefoperazone

Correct answer: 3. Cefuroxime